The most common cause of tricuspid regurgitation is secondary to -
1. Rheumatoid heart disease
2. Dilatation of right ventricle
3. Coronary artery disease
4. Endocarditis due to intravenenous drug abuse

Correct answer: 2. Dilatation of right ventricle

Explanation: Tricuspid regurgitation Primary Rheumatic Endocarditis Myxomatous (TVP) Carcinoid Radiation Congenital (Ebstein's) Trauma Papillary muscle injury (post-MI) Secondary RV and tricuspid annular dilatation Multiple causes of RV enlargement(e.g., long-standing pulmonary HTN)Chronic RV apical pacing ( Harrison's principle of internal medicine,18th edition,pg no. 1930 )